3rd Ventricle develops from
1. Diencephalon
2. Telencephalon
3. Mesencephalon
4. Prosencephalon

Correct answer: 1. Diencephalon

Explanation: Inderbir Singh&;sHuman embryologyTenth editionPg 335The cavity of diencephalon forms the third ventricle